Graze abrasions mimic:
1. Eczema
2. Pressure sore
3. Burns
4. Scalds

Correct answer: 3. Burns

Explanation: Ans. Burns